All are tests to confirm stoppage of circulation except:
1. Magnus test
2. I card test
3. Mirror test
4. Pressure test

Correct answer: 3. Mirror test

Explanation: Tests to confirm cessation of respiration Feather test Mirror test Winslow's test Test to confirm stoppage of circulation Magnus test Diaphanous test I card test Pressure test All these tests have only historical importance Ref: FORENSIC MEDICINE AND TOXICOLOGY DR PC IGNATIUS THIRD EDITION PAGE 20